Tripod fracture is seen in:
1. Mandible
2. Maxilla
3. Nasal bone
4. Zygoma

Correct answer: 4. Zygoma

Explanation: Clinical Featuers of Zygoma Fracture: (also k/a Tripod Fracture) Flattening of malar prominence Swelling of cheeks Ecchymosis of lower eyelids Unilateral epistaxis Numbness over infraorbital part of face Diplopia and restricted ocular movements Trismus due to depression of zygoma on underlying coronoid process Periorbital emphysema due to escape of air from the maxillary sinus on nose blowing Step deformity of infraorbital margin. After nasal bones, zygoma is the second most frequently fractured bone The fracture and displacement can best be viewed by water's view T/t - only displaced fractures require open reduction and internal wire fixation.